Methyl alcohol causes blindness by affecting which of the following structures?
1. Retinal ganglion cells
2. Nerve fibers
3. Rods & Cones
4. Rods only

Correct answer: 1. Retinal ganglion cells

Explanation: Methyl alcohol is oxidized by alcohol dehydrogenase into formic acid and formaldehyde. Formic acid by inhibiting cytochrome oxidase is toxic to neurons especially retinal ganglion cells. In methanol poisoning vision loss begins 12 hours or more after ingestion and progress to complete blindness with unreactive pupils and optic disc hyperemia.